Type of graft, best suited for renal transplantation
1. Allograft
2. Autograft
3. Xenograft
4. Isograft

Correct answer: 4. Isograft

Explanation: Isograft is the graft of tissue between two individuals who are genetically identical i:e, monozygotic twins. Transplant rejection between two such individuals virtually never occurs. As monozygotic twins have the same histocompatibility complex, there is very rare chance of rejection of transplanted tissue by the adaptive immune system. Ref: Baveja textbook of microbiology; 4th edition